Radiation therapy to hypoxic tissues may be potentiated by the treatment with –
1. Mycostatin
2. Metronidazole
3. Methotrexate
4. Melphalan

Correct answer: 2. Metronidazole